The following can be associated with fatty liver except -
1. Amiodarone
2. Zidovudine
3. Sodium valproate
4. Chlorpropamide

Correct answer: 4. Chlorpropamide

Explanation: Amiodarone-induced liver damage may present as Reye's syndrome in kids and may present as asymptomatic elevation of liver enzymes in adults. Asymptomatic liver enzyme elevation occurs in 25% of the population treated with amiodarone and is usually reversible upon discontinuation of therapy zidovudine-induced myopathy and hepatotoxicity in patients Valproic acid may cause serious or life-threatening damage to the liver that is most likely to occur within the first 6 months of therapy Chlorpropamide doesn't cause fatty liver Ref Davidson edition23rd pg774